A diabetic patient is undergoing dialysis. Aspiration done around the knee joint would show
1. A beta 2 microglobulin
2. AA
3. AL
4. Lactoferrin

Correct answer: 1. A beta 2 microglobulin

Explanation: ClinicoPathologic Category Associated diseases Major Fibril protein Related precursor protein SYSTEMIC AMYLOIDOSIS Immunocyte dyscrasias with amyloidosis (primary) Multiple myeloma AL Ig light chain, l Reactive systemic amyloidosis (secondary) c/c inflammation AA SAA Hemodialysis-associated CRF Ab2m B2-microglobulin Hereditary amyloidosis AA or ATTR SAA or Transthyretin Systemic senile amyloidosis ATTR Transthyretin LOCALIZED AMYLOIDOSIS Senile cerebral Alzheimer Ab APP Endocrine Medullary ca thyroid Islets of Langerhans Type 2 DM A Cal AIAPP Calcitonin Islet amyloid peptide Isolated atrial amyloidosis AANF Atrial natriuretic factor